In an outbreak of cholera in a village of 2000 population 20 cases have occured and 5 died. Case fatality rate is
1. 1%
2. 0.25%
3. 5%
4. 25%

Correct answer: 4. 25%

Explanation: In the given question, in an outbreak of cholera in a village of 2000 population, 20 cases have occured and 5 have died. Thus, CFR= Total no. of deaths due to a disease/Total no. of cases due to that disease * 100 CFR= 5/20 * 100 = 25% And, survival rate = 1-CFR= 1-0.25 = 0.75 (75%) Ref: Park 25th edition Pgno: 66